All are true in paralytic squint except
1. Diplopia
2. False projection
3. Compensatory head posture
4. Primary deviation is equal to secondary deviation

Correct answer: 4. Primary deviation is equal to secondary deviation

Explanation: Clinical features of paralytic squint are : Symptoms : Diplopia Confusion Nausea and vertigo Ocular deviation Signs : Primary deviation Secondary deviation- It is greater than Primary deviation due to the fact that the strong impulse of innervation required to enable the eye with paralysed muscle to fix is also transmitted to the yoke muscle of the sound eye resulting in a greater amount of deviation. This is based on Hering's law of equal innervation of yoke muscles. Restriction of ocular movement Compensatory head posture False projection or orientation Ref;A.K.Khurana; 6th Edition; Page no:354